Pallas sign seen in
1. Sarcoidosis
2. Emphysema
3. Pulmonary embolism
4. Myeloma

Correct answer: 3. Pulmonary embolism

Explanation: Chest radiograph signs in PE are ,
Pallas sign – enlarged right descending pulmonary artery Hamptons hump- wedge shaped density above diaphragm Westermark sign- focal oligemia.